A young pregnant woman presents with fulminant hepatic failure. The most likely aetiological agent is:
1. Hepatitis B virus
2. Hepatitis C virus
3. Hepatitis E virus
4. Hepatitis A virus

Correct answer: 3. Hepatitis E virus

Explanation: Ans. is 'c' i.e., Hepatitis E virus(Ref: Ananthanarayan, 9th/e, 550 and 8th/e, p. 546)* Fulminant hepatitis may occur rarely in 1 - 2% of cases, except for the pregnant women who are particularly at higher risk (20%) of developing fulminant hepatitis.